IMNCI curative component does not include
1. Diarrhoea
2. Measles
3. Rubella
4. Malaria

Correct answer: 3. Rubella

Explanation: Curative components under IMNCI

Diarrhoea
Pneumonia
Measles
Malaria
Severe malnutrition.